Treatment of carcinoma appendix is -
1. Right hemicolectomy
2. Extended Right hemicolectomy
3. Left hemicolectomy
4. Extended left hemicolectomy

Correct answer: 1. Right hemicolectomy

Explanation: Ans. is 'a' i.e., Right hemicolectomy Carcinoids and adenocarcinomas of appendix may require right hemicolectomy.o Structures removed in right hemicolectomy :a. Caecum with appendixb. Ascending colonc. Hepatic flexured. Proximal transverse colone. Part of terminal ileumf. Fat and lymphnodes